Radiotherapy is most useful in:
1. Seminoma
2. Melanoma
3. Osteosarcoma
4. Pancreatic carcinoma

Correct answer: 1. Seminoma

Explanation: Ans. A. SeminomaSeminoma is a highly radiosensitive tumor and hence radiotherapy is commonly used for treatment.Radiosensitive and Radioresistant TumorsHighly radiosensitive tumors are* Lymphoma* Seminoma* Myeloma* Ewing's sarcoma* Wilms' tumorHighly radioresistant tumors are* Melanoma* Osteosarcoma* Pancreatic carcinoma* Hepatic carcinoma* Renal cell carcinoma